Retinoblastoma gene is located on chromosome -
1. 6
2. 9
3. 13
4. 21

Correct answer: 3. 13

Explanation: Harshmohan textbook of pathology 7th edition RB gene is located on long arm chromosome 13. This is the first ever tumor suppressor gene identified and this has been amply studied..